PCR detects
1. Antigen
2. Antibody
3. Nucleic acid
4. All of the above

Correct answer: 3. Nucleic acid

Explanation: Polymerase chain reaction (PCR) is a technique used in molecular biology to amplify a single copy or a few copies of a piece of DNA across several orders of magnitude, generating thousands to millions of copies of a particular DNA sequenceRef: DM Vasudevan, 7th edition, page no: 638